Digoxin toxicity is increased by all except -
1. Renal impairment
2. Hyperkalemia
3. Hypercalcemia
4. Hypomagnesemia

Correct answer: 2. Hyperkalemia

Explanation: Ans. is 'b' i.e., Hyperkalemia Digitalis toxicity is a2gravated by o Hypokalemia o Hypomagnesemia o Renal insufficiency o Hypercalcemia o Advanced age o Hypoxia o Acute myocardial infarction o Thyrotoxicosis o Mvxoedema o Acute Myocarditis